Wilsons disease primarily affects which part of CNS
1. Basal ganglia
2. Cerebrum
3. Cerebellum
4. Pons

Correct answer: 1. Basal ganglia

Explanation: Particularly affects the basal ganglia, particularly the putamen.